Mechanism by which water is reabsorbed from proximal convolved tubule is
1. Active transport
2. Passive transport
3. Facilitated diffusion
4. Osmosis

Correct answer: 4. Osmosis

Explanation: Water is reabsorbed from PCT by osmosis. Ref: Ganong's review of medical physiology; 24th edition; page no: 685